CD4 count refers to ?
1. T helper cells
2. B cells
3. Cytotoxic cells
4. Both B And T Cells

Correct answer: 1. T helper cells

Explanation: Ans. is 'a' i.e., T helper cells